Myoglobinuria is seen in which type of burns:
1. Contact burn
2. Electric burn
3. Scald
4. Flame burn

Correct answer: 2. Electric burn

Explanation: Electrical burns may cause extensive muscle necrosis and consequent myoglobinuria and hemoglobinuria, both of which may lead to renal insufficiency.